An eight year old boy presents with multiple umbilicated papules on trunk. Diagnosis is –
1. Molluscum contagiosum
2. Chicken pox
3. Herpes zoster
4. Dermatophytosis

Correct answer: 1. Molluscum contagiosum

Explanation: Umblicated nodule on trunk suggest the diagnosis of molluscum contagiosum.